Grey Turner's sign (Flank discolouration) is seen in
1. Acute pyelonephritis
2. Acute cholecystitis
3. Acute pancreatitis
4. Acute peritonitis

Correct answer: 3. Acute pancreatitis

Explanation: Signs indicative of retroperitoneal bleeding in severe pancreatitis Flank ecchymosis - Grey Turner sign Periumbilical ecchymosis- Cullen's sign Inguinal ecchymosis - Fox sign Ref: Sabiston 20th edition Pgno : 1527